Wh,he follow morphogenic as well as mitogenic?
1. Fibroblast growth factor
2. Platelet derived growth factor
3. Bone morphogenetic protein
4. Insulin-like growth factor

Correct answer: 3. Bone morphogenetic protein

Explanation: Ans. c. Bone morphogenetic protein